In which of the following condition, cholinomimetic is not used?
1. Glaucoma
2. Post-surgical ileus/atony
3. Myasthenia gravis
4. Partial heart block

Correct answer: 4. Partial heart block

Explanation: Ans. d. Partial heart block (Ref: Katzung 11/e p106)Cholinomimetic is not used in partial heart block.Uses of CholinomimeticDiseases of eye: Glaucoma and accommodative esotropiaQGastrointestinal and urinary tract: Post-operative atonyQ, neurogenic bladderQNeuromuscular junction; Myasthenia gravisQ. Curare induced neuromuscular paralysisHeart: Certain atrial arrhythmiasQAtropine overdosesQAlzheimer's diseaseQCobra biteQ: Neostigmine and endrophonium (Harrison 18/e p3570)